Case control study- estimate
1. Only odd's ratio
2. Odds ratio and attributable risk
3. Relative risk, attributable risk, population attributable risk
4. Incidence, Relative risk, and attributable risk

Correct answer: 1. Only odd's ratio

Explanation: (Only odd's ratio) (74 - Park 19th) (75-Park 20th)* Case control study generally yields only estimate of RR (Odd's ratio)* Cohort study yield incidence, RR as well as Attributable riskADVANTAGES OF CASE CONTROL STUDIES1. Relatively easy to carry out2. Rapid and inexpensive (compared with cohort studies)3. Required comparatively few subjects4. Particularity suitable to investigate rare disease or disease about which little is known.5. No risk to subjects6. Allows the study of several different etiological factor eg smoking, physical activity, personality characteristics in MI7. Risk factor can be identified, Rational prevention and control programmes can be established8. No attrition problems, because case control studies do not require follow up of individuals into the future9. Ethical problems minimal.